Reactive oxygen free radical in lysosome is released by
1. NADPH oxidase
2. Superoxide dismutase
3. Peroxidase
4. Myeloperoxidase

Correct answer: 1. NADPH oxidase